The viruses show all the following features except:
1. They are filterable agents
2. They are obligate intracellular parasites
3. They contain either DNA or RNA, but never both
4. Multiply by binary fission.

Correct answer: 4. Multiply by binary fission.

Explanation: The viruses show all the following features except they Multiply by binary fission. The viruses show the following features: 1. They are filterable agents. 2. They are obligate intracellular parasites. 3. They contain a single type of nucleic acid, i.e., either DNA or RNA, but never both. 4. The virion of the virus particle consists of a nucleic acid genome packaged into a protein coat (capsid), which itself is sometimes enclosed by an envelope of lipid, proteins, and carbohydrates known as envelope. 5. They multiply inside the living cells by using the synthesizing machinery of the host cell. 6. They have a few or no enzymes for their own metabolism. They always use host cell machinery to produce their components such as viral messenger RNA, protein and identical copies of the genome. 7. They replicate by the assembly of the individual components and do not replicate by division, such as binary fission.